Eustachian tube develops from:
1. 2nd and 3rd pharyngeal pouch
2. 1st pharyngeal pouch
3. 2nd pharyngeal pouch
4. 3rd pharyngeal pouch

Correct answer: 2. 1st pharyngeal pouch

Explanation: Pharyngeal Pouch Derivatives 1 Tympanic (middle car) cavity, auditory (eustachian) tube 2 Palatine tonsils, tonsillar fossa 3 Inferior parathyroid gland, thymus 4 Superior parathyroid gland, ultimobranchial body (parafollicular C cells of thyroid)